Most common Cause of pseudaneurysm of aorta is
1. Smoking
2. Trauma
3. Marfans Syndrome
4. Age related degeneration

Correct answer: 2. Trauma

Explanation: Answer- B. TraumaAortic pseudoaneurysms are contained ruptures of the aorta in which the majority of the aortic wall has been breached, and luminal blood is held in only by a thin rim of the remaining wall or adventitia.They typically occur from focal aortic transection-penetrating traumaBlunt trauma